Angina pectoris and syncope are most likely to be associated with
1. Mitral stenosis
2. Aortic stenosis
3. Mitral regurgitation
4. Tricuspid stenosis

Correct answer: 2. Aortic stenosis

Explanation: Ref Harrison 19 th ed pg 1530 patients with pure or predominant AS have gradually increas- ing obstruction over years but do not become symptomatic until the sixth to eighth decades. Adult patients with BAV disease, however, develop significant valve dysfunction and symptoms one to two decades sooner. Exertional dyspnea, angina pectoris, and syncope are the three cardinal symptoms.